Which of the following is not a paranoid symptom?
1. Delusion of persecution
2. Delusion of reference
3. Delusion of grandiosity
4. Thought alienation

Correct answer: 4. Thought alienation

Explanation: The term 'paranoid' is often used as a substitute for the term 'persecutory' hence paranoid delusions usually means Delusion of persecution but strictly speaking the term 'paranoid' means 'delusional'. hence all delusions are paranoid symptoms Thought Alienation; Symptom of psychosis, especially schizophrenia, in which patients feel that their own thoughts are in some way no longer within their control by being, for example, removed or replaced by an outside force or agency.